Maceration is seen in death of?
1. 70 year old man with minimal adipose tissue
2. Dead born fetus
3. 25 year old man died due to drowning in fresh water
4. 40 year old man died due to sepsis

Correct answer: 2. Dead born fetus

Explanation: Maceration is aseptic autolysis. Characteristically described for dead born fetus.